Gall stones in sickle cell anemia are made up of?
1. Cholesterol
2. Calcium carbonate
3. Bilirubin
4. None

Correct answer: 3. Bilirubin

Explanation: Ans. is 'c' i.e. Bilirubin * In sickle cell disease, chronic hemolysis with its accelerated bilirubin turnover leads to a high incidence of pigment gallstones. They are composed primarily of bilirubin (insoluble bilirubin pigment polymer) and calcium (calcium phosphate) salts that are found in bile.